Acquired intrinsic defect in Hymolytic anemia is seen in -
1. Sicicle cell anemia
2. Hereditary spherocytosis
3. Thalasemmia
4. Paroxysmal nocturnal hemoglobinuria

Correct answer: 4. Paroxysmal nocturnal hemoglobinuria